Meralgia paraesthetica is due to the damge or compression of which nerve ?
1. Lateral cutaneous nerve of the thigh
2. Sural nerve
3. Medial cutaneous nerve of the thigh
4. Femoral nerve

Correct answer: 1. Lateral cutaneous nerve of the thigh

Explanation: "It is a feeling of tingling, numbness and burning in the skin supplied by the lateral cutaneous nerve of the thigh as it gets entrapped in the fascia just medial to the anterior superior iliac spine". > Meralgia Paresthetica (MP) is a common condition > Often misdiagnosed because mimicking other conditions > Impingement of the lateral femoral cutaneous nerve (LFCN > Numbness, burning, stabbing, and aching along the well-delineated path of the LFCN, from the front of the thigh to just above the knee. Etiology (mechanical) > Pregnancy > Increased abdominal pressure > Obesity > Weanng tight clothing/belts in the waist area > Different leg lengths > Pubic symphysis (pelvic girdle) dysfunction > Carrying items such as a wallet or a cell phone in the front and side pockets of pants Etiology (metabolic / iatrogenic) Metabolic > Diabetes > Alcoholism > Hypothyroidism > Lead poisoning latrogenic > Prolonged traction during spine surgery or injury to the nerve during retroperitoneal dissection Treatment > Removing any underlying cause of the impingement > Oral anti-inflammatory INISAIDs or steroids) > 85% of patients will have improved symptoms with conservative treatment alone > Physical therapy > Injection > Surgery Ref : Maheshwari 9th ed pg 305